7-Methyl guanosine cap is present in
1. M-RNA
2. t-RNA
3. r-RNA
4. DNA

Correct answer: 1. M-RNA

Explanation: Eukaryotic mRNA synthesis results in a pre-mRNA precursor that contains extensive amounts of excess RNA (introns) that must be precisely removed by RNA splicing to generate functional, translatable mRNA composed of exonic coding and 5' and 3' noncoding sequences. # All steps--from changes in DNA template,Ref: Harpers Illustrated Biochemistry, 30th edition, page no: